A patient of MDR Tb is on anti-tubercular drugs. After few months, he develops red-green color blindness. Most likely drug causing this symptom is:
1. Rifampicin
2. Ethambutol
3. Isoniazid
4. Streptomycin

Correct answer: 2. Ethambutol

Explanation: Ans. B. EthambutolEthambutol is first line antitubercular drug which is contraindicated in children as it causes optic neuritis and red-green color blindness.